A 25-year-old primigravida with 20 weeks of pregnancy has a first episode of a symptomatic bacteriuria. The risk of having pyelonephritis is:
1. No risk with first episode
2. 5%
3. 15%
4. 25%

Correct answer: 4. 25%

Explanation: Ans. is d, i.e. 25%Ref. Dutta Obs. 7/e, p 299Twenty-five percent of these women are likely to develop acute pyelonephritis, usually in third trimester, if left untreated.